The gene coding for core of HIV is -
1. GAG
2. ENV
3. POL
4. TAT

Correct answer: 1. GAG

Explanation: The Gag gene determines the core and shell of the virus. REF:ANANTHANARAYAN AND PANIKER'S TEXTBOOK OF MICROBIOLOGY 9TH EDITION PAGE NO-571